All are true about listeria except:
1. Gram positive
2. PALCAM agar is used for isolation
3. Characteristic tumbling motility at 37degC
4. Umbrella shaped growth

Correct answer: 3. Characteristic tumbling motility at 37degC

Explanation: Ans. is. 'c' i. e., Characteristic tumbling motility at 37degC